Commonest complication following haemorrhoidectomy is:
1. Hemorrhage
2. Infection
3. Fecal impaction
4. Urinary retention

Correct answer: 4. Urinary retention

Explanation: Complications of Hemorrhoidectomy Early complications Late complications Pain (MC) Acute retention of urine (2nd MC) Reactionary hemorrhage Secondary hemorrhage Anal stricture Anal fissure Incontinence